Asha worker works for___ population:
1. 3000
2. 1000
3. 5000
4. 400

Correct answer: 2. 1000

Explanation: Ans. (b) 1000Ref: K. Park 23rd ed. / 449, 21st ed. 1407* ASHA is Accredited Social Health Activist.* One ASHA works for 1000 population.* In tribal, hilly and desert areas, the norm is one ASHA per habitation.Impact Indicators of ASHA* Infant mortality rate* Child malnutrition rate* Number of TB/leprosy case detection as compared to previous year.Must knowASHA* ASHA must be the resident of the village preferably in the age group of 25-45 years.* Minimum education required for ASHA: 8th pass* ASHA is selected by village panchayat/Gram Sabha* ASHA comes under national Rural Health Mission (NRHM): 2005-2012* Act as bridge between village and ANM (Auxiliary Nurse midwife)* Training of ASHA is done by ANM and AWW for a minimum duration of 23 daysAlso know* One multi-purpose worker (MPW) is for: 5000 population* One village health guide (VHG) is for: 1000* One Anganwadi worker (AWW) is for: 400-800